The following are all residual insecticides except –
1. Pyrethrum
2. DDT
3. Gamma BHC
4. Malathion

Correct answer: 1. Pyrethrum